A person with eyes closed & mind wondering will have the following wave in
1. a-waves
2. b-waves
3. d-waves
4. t-waves

Correct answer: 1. a-waves

Explanation: (A) a-waves # Alpha Rhythm> In adult humans who are awake but at rest with the mind wandering and the eyes closed, the most prominent component of Ihe EEG is fairly regular pattern of waves at a frequency of 8-12 Hz and an amplitude of 50-100 pV when recorded from the scalp> This pattern is the alpha rhythm.> It is most marked in the parieto-occipital area.